An 8 year old child has history of adenoidectomy done one year back. He now complaints of effusion in the middle ear. Which of the following is the most probable diagnosis?
1. Grisel syndrome
2. Velopharyngeal insufficiency
3. Recurrence
4. Rhinolalia clausa

Correct answer: 3. Recurrence

Explanation: Ans. is 'c' i.e., Recurrence * Recurrence is due to regrowth of adenoid tissue left behind. It will lead to persistent symptoms of middle ear effusion.